Clavulanic acid is given in combination with amoxicillin in order to
1. Reduce the risk of allergic reactions
2. Prolong amoxicillin's half-life
3. Reduce the severity of diarrhea
4. Extend amoxicillin's antibacterial spectrum

Correct answer: 4. Extend amoxicillin's antibacterial spectrum